All of the following statements about vinristine are true EXCEPT:
1. It acts by inhibiting mitosis
2. Its prominent adverse effect is peripheral neuropathy
3. It does not suppress bone marrow
4. It is a drug of choice for solid tumors.

Correct answer: 4. It is a drug of choice for solid tumors.

Explanation: (Ref: KDT 6/e p824, 825) Vincristine is a vinca alkaloid. It acts in M-phase of cell cycle by inhibiting the formation of spindle. It is a marrow sparing drug and causes peripheral neuropathy as a prominent adverse effect. It is used for the treatment of hematological malignancies like Hodgkin's lymphoma and leukemias. It is ineffective against solid tumors.